The following statements regarding halothane are true except:
1. It is contraindicated in patients with intracranial lesions.
2. It can cause hyportension.
3. It allows smooth and rapid loss of unconsciousness.
4. It is contraindicated in patients with bronchial asthma.

Correct answer: 4. It is contraindicated in patients with bronchial asthma.

Explanation: Halothane is a volatile, non-irritant and non-inflammable liquid. It has relatively low blood-gas partition coefficient hence induction is rapid and pleasant. It has myocardial depressant action that reduces the cardiac output. It also blunts the baroreceptor reflexes. Hence it produces hypotension. It does not cause laryngospasm, bronchospasm, coughing, but may produce bronchodilation due to a direct action on the bronchial smooth muscles hence is preferred in patients with bronchial asthma. It can increase cerebral blood flow and CSF pressure hence is contraindicated in patients with intracranial lesions.